During an epidemic of hepatitis E, fatality is maximum in -
1. Pregnant women
2. Infants
3. Malnourished males
4. Adolescent

Correct answer: 1. Pregnant women